Michaelis-Gutmann bodiesare found in:
1. Malakoplakia
2. Xanthogranulomatous pyelonephritis
3. Nail patella syndrome
4. APKD

Correct answer: 1. Malakoplakia

Explanation: Michaelis-Gutmann bodies (M-G bodies) M-G bodies are concentrically layered basophilic inclusions found in the urinary tract. They are 2 to 10 mm in diameter, and are thought to represent remnants of phagosomes mineralized by iron and calcium deposits. M-G bodies are a pathognomonic feature of malakoplakia, a distinctive chronic inflammatory reaction that affects the genitourinary tract.